For inventing which one of the following is Marc Koska best known ?
1. Artificial blood
2. Disposable K1–syringe
3. Vaccine against Polio
4. ELISA test

Correct answer: 2. Disposable K1–syringe